Little finger of hand corresponds to which of the following dermatomes:
1. C6
2. C7
3. C8
4. T1

Correct answer: 3. C8

Explanation: C i.e. C8Thumb corresponds to C6; middle & ring fingers to C7; and little finger to Cs dermatomesQ